Which of the following is a long acting beta 2 agoinst -
1. Salmeterol
2. Orciprenaline
3. Penoterol
4. Pexbaterol

Correct answer: 1. Salmeterol

Explanation: Ans. is 'a' i.e., Salmeterol o b2,-agonists used in AsthmaShort acting - Salbutamol, terbutalineLong acting - Salmeterol, formoterolo Bambuterol is a prodrug of terbutaline. It is slowly hydrolysed by pseudocholineterase.o Short acting b2-agonists produce bronchodilatation within 5 min and action lasts for 2-6 hrs - are used to abort and terminate acute asthma, but are not suitable for prophylaxis,o Salmeterol is delayed acting, can be used for prophylaxis only, while formoterol is fast acting and long acting can be used for both prophylaxis and acute attack.Salbutamole & Terbutaline-Only for acute attackSalmeterol-Only for prophylaxisFormoterol-Both for prophylaxis and acute attacko Long acting b2-agonists (salmeterol & formoterol) are superior to short acting b2-agonists (salbutamol & terbutaline), and equivalent to inhaled anticholinergics in COPD.Note-For one option go ahead with option 'd', i.e. adrenaline because amongst the given options, adrenaline is shortest acting (60 - 90 minutes).o Salmeterol and formoterol are long acting b2,-agonists.o Their lipophilic action is responsible for longer action - Lipophilic side chain anchors the drug in membrane adjacent to the receptor, slowing tissue washout.